In a case of hypertrophic pyloric stenosis, which of the following metabolic disturbance is found?
1. Respiratory alkalosis
2. Metabolic acidosis
3. Metabolic alkalosis with paradoxical aciduria
4. Metabolic alkalosis with alkaline urine

Correct answer: 3. Metabolic alkalosis with paradoxical aciduria

Explanation: Due to vomiting of the gastric contents, infants develop a hypochloremic, hypokalemic metabolic alkalosis. The urine pH is high initially but eventually drops because hydrogen ions are preferentially exchanged for sodium ions in the distal tubule of the kidney as the hypochloremia becomes severe. Ref: Schwartz's Principles of Surgery, 9th Edition, Chapter 39